The first step in the investigation of an epidemic is which of the following?
1. Verification of diagnosis
2. Confirmation of the epidemic
3. Defining the population at risk
4. Formulation of hypothesis

Correct answer: 1. Verification of diagnosis

Explanation: Verification of diagnosis is always the first step and writing report is the last step of an epidemic investigation. Ref: Park's textbook of Preventive and Social Medicine, 21stedition, page-119